Fascia of Denonvilliers lies between
1. Vagina and rectum
2. Vagina and urinary bladder
3. Prostate and rectum
4. None of the above

Correct answer: 3. Prostate and rectum

Explanation: In males, rectovesicle pouch of peritoneum intervenes between rectum and urinary bladder.Obliterated part of rectovesical pouch is called fascia of Denonviller's which separates posterior surface of prostate from rectum. In females rectouterine pouch (pouch of Douglas) lies between rectum (posteriorly) and uterus and posterior fornix of vagina (anteiorly).In females vesicouterine pouch lies between urinary bladder (anteriorly) and uterus posteriorly.The rectovesical pouch (in males) and rectouterine pouch (in females) are the most dependent portions of peritoneal cavity in erect posture.